Bandle's ring on the uterus in labour suggests:
1. Cervical dystocia
2. Colicky uterus
3. Hypertonic lower uterine segment
4. Obstructed labour

Correct answer: 4. Obstructed labour

Explanation: Obstructed labour